BARS' system is a method of -
1. System analysis
2. Performance appraisal
3. Network analysis
4. None of the above

Correct answer: 2. Performance appraisal

Explanation: System analysis is essentially finding the cost effectiveness of the available alternatives A network analysis is a graphic plan of all events and activities to be completed inorder to reach an end objective (refer pgno:872 park 23 rd edition)